Fecundation ab extra means:
1. Child having the characteristic of grandparents
2. Birth of a child after the death of father
3. Insemination without penetration of vagina by penis
4. Sexual intercourse with blood relations

Correct answer: 3. Insemination without penetration of vagina by penis

Explanation: Ans. Insemination without penetration of vagina by penis